Last taste sensation discovered is-
1. Umami
2. Sweetness
3. Bitter
4. Sour

Correct answer: 1. Umami

Explanation: Ans. is 'a' i.e., Umami o Umami a savory taste s one of the five basic tastes (together with sweetness, sourness, bitterness, and saltiness)o People taste umami through receptors specific to glutamate. Glutamate is widely present in savory foods, such as meat broths and fermented products, and commonly added to some foods in the form of monosodium glutamate (MSG) Since umami has its own receptors rather than arising out of a combination of the traditionally recognized taste receptors, scientists now consider umami to be a distinct taste